Ranula is a -
1. Mucous cyst
2. Tumor
3. Submandibular gland swelling
4. Swelling on dorsum of tongue

Correct answer: 1. Mucous cyst